Anthracosis is caused by;
1. Silica
2. Asbestos
3. Coal dust
4. Sugar cane waste

Correct answer: 3. Coal dust

Explanation: Anthracosis is caused by Coal dust. There are two general phases in Anthracosis The first phase is simple pneumoconiosis which is associated with little ventilatory impairment. The second phase is characterised by progressive massive fibrosis (PMF); this causes severe respiratory disability and frequently results in premature death.